Most confirmatory sign of endotracheal intubation is?
1. Chest rise
2. Auscultation
3. Spirometry
4. Capnography

Correct answer: 4. Capnography

Explanation: d. Capnography(Ref: AAP guidelines 2015, Ghai 8/e p 126-133)Exhaled CO2 detection or Capnography is the recommended or confirmatory method to assess position of Endotracheal tubeOther methods are: bilateral chest movements, presence of equal breath sounds bilaterally, condensation in endotracheal tube.